The concentration of potassium in micro gram in ORS is –
1. 30 meq
2. 20 meq
3. 90 meq
4. 60 meq

Correct answer: 2. 20 meq